Which among the following is the hallmark of acute inflammation?
1. Vasoconstriction
2. Stasis
3. Vasodilation and increase in permeability
4. Leukocyte margination

Correct answer: 3. Vasodilation and increase in permeability

Explanation: Ans, (c) Vasodilation and increase in permeabilityRef: Robbins pathology 9th ed. 173* Hallmark of acute inflammation is increased vascular permeability leading to the escape of protein-rich exudate into the extravascular tissue, causing edema.